What is the function of single strand binding proteins (SSBs) during DNA replication
1. Relieves torsional strain
2. Deoxynucleotide polymerisation
3. Prevents premature reannealing of strands
4. Seals the nick between okazaki fragments

Correct answer: 3. Prevents premature reannealing of strands

Explanation: Option a: Topoisomerases
Option b: DNA polymerases
Option d: DNA ligase.